Saddle back fever can be seen in
1. Brucellosis
2. Dengue fever
3. Malaria fever
4. Typhoid fever

Correct answer: 2. Dengue fever

Explanation: (B) Dengue fever # Saddle back or Biphasic fevers are those that are constant for several days, spontaneously reduce for 1 to 2 days, & then increase again. Saddle back fevers can be seen in such infections as Dengue, Yellow fever & Influenza. Dengue virus infection typically presents with two febrile periods separated by an afebrile interval of one to three days (saddle back fever).> Malaria fever: Fevers that occur at regular intervals of 42-78 hours are virtually pathognomonic otP.vivax, P.ovale, P.malariae infections.> Although untreated Typhoid fever classically presents with a continued fever associated with relative bradycardia, almost any fever pattern can develop.> Pel-Ebstein fever is one that occurs daily for a period of about one week, resolves for about an equal time, and then recurs, Pel-Ebstein fevers are often seen in Lymphomas. Intermittent fever is one with wide fluctuations, usually normal in the morning and peaking in the afternoon or evening. This fever pattern can be seen in many viral diseases as well as Endocarditis or Localized Pyogenic infections such as an Abscess. Diurnal pattern also known as Typhus inversus, is the reverse of normal circadian pattern in which the highest temperature is in the morning. It can be found in Milliary TB, Hepatic Abscesses & Endocarditis. Jarisch-Herxheimer reaction is a fever (and sometimes more systemic symptoms such as hypotension) that occurs several hours after treatment with antibiotics. It is a classic reaction for Syphilis, but can also be seen in Leptospirosis, Relapsing fever & Brucellosis.>Dengue fever: Break-bone fever; a virus (togavirus, flavivirus) disease conveyed by mosquito Aedes aegypti, & characterized by a 5 to 7 day pyrexia with a saddle-back course, a measly rash & severe pains in back & limbs. Exposure 7-10 days before onset. Sudden onset of high fever, chills, severe aching, headache, sore throat, prostration, & depression.> Biphasic fever curve: Initial phase 3-7 days; remission, few hours to 2 days; second phase, 1-2 days.> The rash is biphasic: First evanescent, followed by maculopapular, scarlatiniform, morbilliform, or petechial changes from extremities to torso. Leukopenia and thrombocytopenia in hemorrhagic form.